Life cycle of filaria is
1. Cyclodevelopmental
2. Cyclopropagative
3. Propagative
4. Transovarian

Correct answer: 1. Cyclodevelopmental

Explanation: Ans. is 'a' i.e. Cyclo developmental Transmission of arthropod-borne diseases occur by following methodsDirect contact - e.g. scabies, pediculosisMechanical Transmission - housefly transmitted diseasesBiological Transmission - It is of three types:Propagative - The agent merely multiplies in vector, but no change in form e.g. plague bacilli in rat flea.Cyclo propagative - The agent changes in form & multiplies in the body of arthropod e.g. malarial parasites in mosquitoCyclo developmental - The disease agent undergoes cyclical changes but no multiplication e.g. filarial parasite in culex mosquito and guinea worm embryo in cyclops.Other methodsTransovarian transmission - The infectious agent is transmitted vertically from the infected female to her progeny in the vector e.g. Ticks transmitting Rickets sial diseases * Ttransstadial transmission - Transmission of the disease agent from one stage of the life cycle to another as for example nymph to adult e.g. Ticks.